Massive blood transfusion complication is all except -
1. Hypothermia
2. Hypernatremia
3. Hypocalcemia
4. Hyperkalemia

Correct answer: 2. Hypernatremia

Explanation: Ans. is 'B' i.e., Hypernatremia. Complications usually seen with massive blood transfusion are 1) hyperkalemia, 2) hypocalcemia, 3)hypomagnesemia 4) hyperammonemia, 5) hypothermia, 6) Acidosis 7)dilutional coagulopathies and DIC (most worrisome problem after massive transfusion and is the usual cause of death after massive blood transfusion) and 8) ARDS. The lethal triad of acidosis, hypothermia, and coagulopathy associated with MT is associated with a high mortality rate.